The usual site of spontaneous rupture of the intact uterus during pregnancy is the :
1. Anterior lower uterine segment
2. Posterior lower uterine segment
3. Body of the uterus
4. Level of internal os

Correct answer: 3. Body of the uterus

Explanation: Body of the uterus